Aortic arch syndrome is also known as:
1. Takayasu's arteritis
2. Kawasaki disease
3. Churg Strauss syndrome
4. Giant cell areritis

Correct answer: 1. Takayasu's arteritis

Explanation: Takayasu's arteritis is an inflammatory and stenotic disease of medium and large-sized arteries characterized by a strong predilection for the aortic arch and its branches. For this reason, it is often referred to as the aortic arch syndrome. Ref: Harrison's principle of internal medicine 17th edition, chapter 319.